Which one of the following biochemical parameters is most sensitive to detect open Spina bifida ?
1. Maternal serum alpha-fetoprotein
2. Amniotic fluid alpha-fetoprotein
3. Amniotic fluid acetylcholinesterase
4. Amniotic fluid glucohexaminase

Correct answer: 3. Amniotic fluid acetylcholinesterase

Explanation: Spina bifida is defined as a defect in the neural arch ,which results in exposure of the contents of the neural canal.This cause exposure of acetyl cholinesterase which can be detected in the amniotic fluid. Refer page no 487 of Text book of obstetrics ,sheila balakrishnan 2nd edition.